A-48 year old presents with history of precordial chest pain. He has BP of 80/60 mm of Hg. EKG shows wide QRS complex with no preceding P waves and a rate of 112/min. The most immediate step in the management of this patient would be
1. Intravenous lignocaine
2. DC electrical cardioversion
3. Overdrive atrial pacing
4. Primary percutaneous transluminal angioplasty

Correct answer: 2. DC electrical cardioversion